The wavelength of laser {in nanometers} for shaping cornea in refractive surgery is -
1. 193 nm
2. 451 nm
3. 532 nm
4. 1064 nm

Correct answer: 1. 193 nm

Explanation: Excimer laser is used : wavelength 193nm Mechanism : photo ablation. Uses : PRK, PTK, LASIK